A patient was found to be HIV positive on routine check up. He has no symptoms and CD4 count is 800 cells per cubic mm. What should be the management of this patient?
1. No treatment is required
2. Zidovudine plus stavudine for 28 day
3. Tenovofir plus lamivudine plus efavirenz for life long
4. Tenovofir plus zidovudine plus lamivudine for life long

Correct answer: 3. Tenovofir plus lamivudine plus efavirenz for life long

Explanation: Treatment of HIV according to NACO guidelines: Use of multiple drugs that act on different viral targets is known as HAART (Highly active antiretroviral therapy). Treatment should be done in all patients irrespective of their CD4 count and symptoms. Minimum 3 drugs should be used from minimum 2 groups. Mainly we use 2NI + 1 NNRTI / Integrase Inhibitors. Preferred First Line Therapy: Tenofovir + Lamivudine + Efavirenz